An 11 year old male patient with a lower lip sucking habit reports to the dental clinic. On examination, a Class II incisor relation with lip trap is noted along with hyperactive mentalis. Moderate lower incisor crowding is present. Lip bumper is placed with the lower arch. The type of anchorage provided by this appliance is :
1. Intermaxillary
2. Muscular
3. Absolute
4. Compound

Correct answer: 2. Muscular

Explanation: Muscular anchorage: The tonicity of the oral musculature can be utilized as anchorage for affecting tooth movement. Lip bumper is an appliance that utilizes the tonicity of the lower lip to augment anchorage.
Intermaxillary anchorage : When the anchor units are in one arch and the reactive units are in another arch.
Compound anchorage: Resistance provided by more than one tooth with greater support to move teeth with less support.
Absolute anchorage: Type of anchorage in which no reactionary unwanted tooth movement is seen, except that which is desirable. This is seen with skeletal anchorage systems such as mini-screws.
Contemporary orthodontics, William Proffit, 4th edition page 347